Anuria is defined passing Less than _____ ml urine/day
1. 400ml
2. 3L
3. 100ml
4. 1000ml

Correct answer: 3. 100ml

Explanation: Anuria  <100ml.
Oliguria  < 400ml.